In posterior capsular cataract, treatment is –
1. Krypton Laser
2. Nd – YAG Laser
3. Argon Laser
4. CO2 Laser

Correct answer: 2. Nd – YAG Laser

Explanation: Thin after cataract can be cleared centrally by Nd : YAG laser capsulotomy.